Which of the following is not an oxidoreductase -
1. Catalase
2. Glucokinase
3. Alcohol dehydrogenase
4. Peroxidase

Correct answer: 2. Glucokinase

Explanation: Ans. is 'b' i.e., Glucokinase Oxidoreductases are oxidases, dehydrogenases, hydroperoxidases (Catalase, peroxidase), oxygenases.Glucokinase is a transferase.